Breast cancer more commonly seen in -a) Increased risk in relativesb) Early marriage < 20 yrs.c) Nulliparad) High fat diete) Who avoided breast feeding
1. bce
2. acde
3. abcd
4. abde

Correct answer: 2. acde